The best method for hemoglobin estimation is -
1. Sahli's hemoglobinometer
2. Cyanmethemoglobin method
3. Calorimetric method
4. None of the above

Correct answer: 2. Cyanmethemoglobin method